In RNA, gene during processing undergoes all, except
1. Chemical hydrolysis
2. Terminal addition
3. Nucleoside modification
4. Nucleoside cleavage

Correct answer: 1. Chemical hydrolysis

Explanation: Post-transcriptional processing involves :-
Cleavage of large precursor of RNA to a smaller molecule by the action of endonuclease.
Splicing (removal of introns)
Terminal addition of nucleotides
Nucleoside modifications